Hyoid bone fracture does not occur in -
1. Hanging
2. Strangulation
3. Throttling
4. Choking

Correct answer: 4. Choking

Explanation: Ans. is 'd' i.e., Choking Features Hanging Strangulation Cause (mostly) Sigus of struggle Ligature mark Suicidal No * Above thyroid cartilageQ * Incomplete and directed obliquely upward * No skin damage under knot *Abrasion and bruise around ligature mark are * Dissection reveals a dry glistening white band of subcutaneous tissueQ Homicidal Present * Below thyroid cartilageQ * Completely encircelsQ neck horizontalQ * May be more than one turns * Abrasion and bruises are common *Dissection reveals ecchymosed subcutaneous tissueQ * Stretching of neck * Fracture-dislocation of vertebrae Present Absent * Fracture of hyoid, laryngeal cartilage, tracheal rings * Injury to neck muscles * Injury to carotid artery Rare Common Note - Throttling is m.c. cause of hyoid fracture Saliva Running out of angle of mouth vertically down Usually saliva not espaced but if so usually blood tinged and may not be vertically down * External signs of asphyxia *Face * Bleeding from nose and mouth Not well marked Pale Rare Well marked Congested, Cynosed with petechiaeQ Common